Which of the following is not a product of complete hydrolysis of Sphingomyelin?
1. Choline
2. Phosphate
3. Ceramide
4. Palmitic acid

Correct answer: 3. Ceramide

Explanation: Sphingomyelin is made up of sphingosine alcohol, one fatty acid, one phosphate, and one choline. So, sphingosine alcohol, one fatty acid, one phosphate, and one choline are products of complete hydrolysis of sphingomyelin. This fatty acid can be palmitic acid. So palmitic acid can be a product of complete hydrolysis. But Ceramide = Sphingosine + Fatty acid. So ceramide CANNOT be a product of complete hydrolysis. It's is a product of partial hydrolysis.